In a child 1 years the commonest cause of resp. Infection with wheeze is -
1. RSV
2. Influenza viurs
3. Adenovirus
4. Para influenza

Correct answer: 1. RSV

Explanation: Ans. is 'a' i.e., RSV o Wheezing due to respiratory tract infection in a 1 year old child is due to bronchiotilis.